The drugs increasing trabecular outflow in glaucoma is
1. Beta-blockers
2. CA inhibitors
3. Miotics
4. PG analogues

Correct answer: 3. Miotics

Explanation: Miotics like pilocarpine increase trabecular outflow in glaucoma Beta blockers and CA inhibitors decrease aqueous production PG analogues increase UV outflow Ref: KDT 6th ed pg 145